Most common cause of biliary stricture is
1. CBD stone
2. Trauma
3. Asiatic cholangitis
4. Congenital

Correct answer: 2. Trauma

Explanation: Most common cause of benign biliary stricture is laparoscopic cholecytectomy I.e., operative trauma Incidence of bile duct injury during laparoscopic cholecystectomy is 0.3-0.85 % Ref:Sabiston 20th edition Pgno :1502